Erythema nodosum is seen in A/E
1. Salicylate poisioning
2. Typhoid
3. Tuberculosis
4. Leprosy

Correct answer: 1. Salicylate poisioning

Explanation: A i.e. Salicylate poisioning